With help of the drug shown below, serotonin is synthesized from which of the following precursor amino acid?
1. Tryptophan
2. Glycine
3. Threonine
4. Methionine

Correct answer: 1. Tryptophan

Explanation: Tryptophan. Serotonin is synthesized from the essential amino acid tryptophan. The rate-limiting step is the conversion of the amino acid to 5-hydroxytrptophan by tryptophan hydroxylase. This is then converted to serotonin by the aromatic L-amino acid decarboxylase which needs Pyridoxal Phosphate as a cofactor Ref : vasudevan 7th ed